Sandfly acts as a vector to all of the following diseases, EXCEPT
1. Oriental sore
2. Oraya fever
3. Kala-azar
4. Onchocerciasis

Correct answer: 4. Onchocerciasis

Explanation: (D) Onchocerciasis